Structure passing deep to flexor retinaculum at wrist:
1. Ulnar nerve
2. Median nerve
3. Radial nerve
4. Ulnar artery

Correct answer: 2. Median nerve

Explanation: The flexor retinaculum stretches across the front of the wrist and converts the concave anterior surface of the hand into an osteofascial tunnel, the carpal tunnel, for the passage of: The median nerve Flexor tendons of the thumb (flexor pollicis longus and fingers) (flexor digitorum superficialis and profundus). Radial and the ulnar bursa It is attached medially to the pisiform bone and the hook of the hamate and laterally to the tubercle of the scaphoid and the trapezium bones. The attachment to the trapezium consists of superficial and deep parts and forms a synovial-lined tunnel for passage of the tendon of the flexor carpi radialis. The lower border is attached to the palmar aponeurosis.